All of the following are signs of Cor pumonale except:
1. Feeble pulse
2. Elevated JVP
3. Hepatomegaly
4. Peripheral edema

Correct answer: 1. Feeble pulse

Explanation: Ans. A: Feeble pulse Symptoms of cor pulmonate include: Tiredness, weakness, anorexia Lower extremity oedema May have hepatic pain Symptoms of underlying cause Signs include: Warm, cyanosed extremities Bounding pulse Tachypnoea Raised JVP May be functional tricuspid incompetence - systolic 'v' waves seen in JVP Gallop rhythm, loud P2 due to pulmonary hypertension, but overlying emphysema may reduce heart sounds Hepatomegaly, lower extremity oedema